Commonest helminthic infection in AIDS is
1. Trichuris trichura
2. Strongyloides stercoralis
3. Enterobius vermicularis
4. Nector-americanus

Correct answer: 2. Strongyloides stercoralis

Explanation: Ans. is 'b' i.e., Strongyloides stercoralis . Amongst the given options only stongyloides causes opportunistic infection in AIDS. . Generalised strongyloidosis may be seen in AIDS.